If torsion of the testicle is suspected, surgical exploration:
1. Can be delayed 24 hours and limited to the affected side.
2. Can be delayed but should include the asymptomatic side.
3. Should be immediate and limited to the affected side.
4. Should be immediate and include the asymptomatic side.

Correct answer: 4. Should be immediate and include the asymptomatic side.

Explanation: Torsion of the testicle should be corrected as soon as possible after the diagnosis is entertained. Incomplete torsion can cause partial strangulation, the effects of which may be overcome if surgical intervention is accomplished within 12 hours, whereas severe torsion with complete compromise of the blood supply results in loss of the testis unless surgical intervention occurs within approximately 4 hours. The contralateral scrotum should also be explored at the time of the operation, since the primary anatomic defect--insufficient attachment of the testicle to the scrotal sidewall--most often is a bilateral phenomenon. If the contralateral scrotum is not explored, the patient runs a very high risk of undergoing torsion on the other side and the possible complication of loss of both testes.